Which of the following is true about alpha 1 antitrypsin
1. Inhibits elastase
2. Inhibits trypsinogen activation in pancreas
3. Inhibits trypsin activating protease
4. Inhibits chymotrypsin

Correct answer: 1. Inhibits elastase

Explanation: * alpha 1 antitrypsin deficiency is an Autosomal recessive disorder * It is synthesised in the liver * Deficiecy of alpha 1 antitrypsin can cause panacinar emphysema and can affect the liver. * Normal (wild) genotype of PiMM * alpha 1 antitrypsin deficiency can cause globular cytoplasmic inclusions in hepatocytes * These inclusions are PAS positive and diastase resistant Ref:- Robbins Basic Pathology 10th Edition; Pg num:- 658,659